Tardive dyskinesia is least common with -
1. Flupenthiol
2. Penfluridol
3. Olanzapine
4. None

Correct answer: 3. Olanzapine

Explanation: Amongst the given options only olanzapine is atypical antipsychotic → atypical antipsychotics cause less extrapyramidal side effects than typical antipsychotics.
However, you should remember that olanzapine can cause some extrapyramidal symptoms. Atypical antipsychotics which do not produce extrapyramidal side effects are clozapine, Aripiprazole, Quetiapine.